A patient requires mild cholinomimetic stimulation following surgery. Physostigmine and bethanechol in small doses has significantly different effect on which of the following
1. Gastric secretion
2. Neuromuscular junction
3. Sweat glands
4. UreterAl tone

Correct answer: 2. Neuromuscular junction

Explanation: Refer katzung 11e p 98 Bethanechol Acts on muscarinic receptors only whereas is physostigmine increases acetylcholine,thus can stimulate both muscarinic and nicotinic receptors. Neuromuscular junction contains in Nm receptors, thus will be affected by physostigmine and not with bethanechol.